Lower 1/3'd of anal canal is derived from?
1. Proctodaeum
2. Cloaca
3. Urogenital Sinus
4. Midgut

Correct answer: 1. Proctodaeum

Explanation: Ans. is'a'i.e., Proctodaeum(Ref: BDC Sh/eVol. Il p. 415)'The lower third of the anal canal is an ectodermal derivative and is derived from the proctodaeum.'Part of anal canal above pectinate line develops from dorsal part of md.odermal cloaca (primitive rectum) and part of anal canal below pectinate line develops from ectodermal proctodeum.